Osteoarthritis does not involve
1. Hip joint
2. Wrist
3. Knee joint
4. DIP

Correct answer: 2. Wrist